Wet pillow syndrome is caused by
1. Risperidone
2. Haloperidol
3. Aripiprazole
4. Clozapine

Correct answer: 4. Clozapine

Explanation: Clozapine carries the side effect of sialorrhoea, termed as "Wet pillow syndrome".